Enlarging dot sign in fundus fluorescein scanning is seen in -
1. Cystoid macular edema
2. Central serous retinopathy
3. Significant macular edema
4. Coat's disease

Correct answer: 2. Central serous retinopathy

Explanation: Fundus fluorescein angiography helps in confirming the diagnosis. Two patterns are seen: Ink-blot pattern. It consists of small hyperfluorescent spot which gradually increases in size Smoke-stack pattern. It consists of a small hyperfluorescent spot which ascends vertically like a smoke-stack and gradually spreads laterally to take a mushroom or umbrella configuration. Ref : AK Khurana 6thE pg 293